Inquest refers to
1. Legal enquiry into the cause of death
2. Examination of the accused
3. Doing unlawful act
4. Punishment for illegal enquiries

Correct answer: 1. Legal enquiry into the cause of death

Explanation: Ans. a (Legal enquiry into the cause of death) (Ref. Reddy FMT 23rd/pg. 5)# An inquest is a formal process of state investigation.# A common type inquest is a medical examination of any cause of death under suspicious circumstances.# Larger inquests can be held into disasters, or into cases of corruption.Also Know:The most common type of inquest in India is:Police inquest.In India, inquest is NOT carried out by:Doctor.Coroner's inquest was abolished in India in the year:1999.In case of death in prison, inquest will be conducted by:Executive Magistrate.Supposed to be the best inquest internationally:Medical examiner's inquest.